Drug used for post-operative shivering
1. Atropine
2. Pethidine
3. Thiopenone
4. Suxamethonium

Correct answer: 2. Pethidine

Explanation: Post-anaesthesia shivering (PAS)Post anaesthesia (postoperative) shivering occurs in 40% of patients recovering from general anaesthesiaSometimes it is preceded by central hypothermia and peripheral vasoconstriction, indicating that it is a thermoregulatory mechanismPethidine is most effective drug for treatment of PASOther drugs used are-clonidine, doxapram, ketanserin, alfentanil, butorphanol, chlorpromazine.(Refer: Morgan and Mikhail's Clinical Anaesthesiology, 5th edition, pg no. 1264,1265)